False about chediak Higashi syndrome
1. Autosomal dominant
2. Defective fusion of  phagosomes & lysosomes
3. Abnormalities in melanocytes.
4. Platelet abnormalities present

Correct answer: 1. Autosomal dominant

Explanation: Chediak - Higashi syndrome is an autosomal recessive disorder.